Gerontology is study of:-
1. Infants
2. Reproductive age group
3. Adolescents
4. Old age

Correct answer: 4. Old age

Explanation: Gerontology: Study of physical and psychological changes seen in old age. Geriatrics/clinical gerontology: Care of the aged people. Social gerontology: Focus on social aspects, attitudes and problems of growing old. Experimental gerontology: Research into basic biological problems of ageing.